Bone resorption markers are all, except:
1. Tartarate resistant alkaline phosphatase (TRAP)
2. Osteocalcin
3. Cross linked-N-telopeptides
4. Urine total free deoxypyridinoline

Correct answer: 2. Osteocalcin

Explanation: . Osteocalcin